Most common post splenectomy infection is:
1. Pneumococcus
2. Meningococcus
3. Staphy lococcus
4. Corynebacterium

Correct answer: 1. Pneumococcus

Explanation: Pneumococcus